A 12-year-old child with Renal tubular acidosis type 1 is having muscle cramps and weakness. ECG shows all except?
1. T wave inversion with U waves
2. ST depression
3. Heart rate of 75 beats per minute
4. Absent P waves

Correct answer: 4. Absent P waves

Explanation: Ans. (d) Absent P waves.In hypokalemia, the ECG shows1. Increased amplitude and width of the P wave2. Prolongation of the PR interval3. T wave flattening and inversion4. ST depression5. Prominent U waves (best seen in the precordial leads)6. Apparent long QT interval due to fusion of the T and U waves = long QU interval.